Weakest support of uterus is?
1. Broad ligament
2. Levator ani
3. Uterosacral ligamnet
4. Round ligament

Correct answer: 1. Broad ligament

Explanation: Peritoneal ligaments are mere peritoneal folds which do not provide any support to the uterus. 1 The anterior ligament consists of the uterovesical fold of peritoneum. 2 Theposterior ligament consists of the rectovaginal fold of peritoneum . 3 The right and left broad ligaments are folds of peritoneum which attach the uterus to the lateral pelvic wall. When the bladder is full, the ligament has anterior and posterior surfaces, and upper, lower, medial and lateral borders. The upper border is free. The anterior and posterior layers of peritoneum forming the ligament become continuous here. The lateral and inferior borders of the ligament are attached to the corresponding parts of the pelvic wall. The medial border is attached to the lateral margin of the uterus. The ovary is attached to the posterior layer of the broad ligament through themesouarium. The ligament of the ovary passes from the lower pole of the ovary to the lateral angle of the uterus. The part of the broad ligament lying between the uterine tube and the ligament of ovary is called the mesosalpinx, while the part below the ligament of ovary is called the mesometrium. The part of the broad ligament that stretches from the upper pole of the ovary and the infundibulum of the uterine tube to the lateral pelvic wall is called the suspensory ligament of the oaary or the infundibulopelvic ligament . Ref - BDC 6th edition vol 2 pg 389